A man presents with fever and childs 2 weeks after a louse bite. There was maculo-papular rash on the trunk which spread peripherally. the cause of this infection can be -
1. Scrub typhus
2. Endemic typhus
3. Rickettsial pox
4. Epidemic typhus

Correct answer: 4. Epidemic typhus

Explanation: Ans. is 'd' i.e., Epidemic typhus o Amongst the given options, only epidemic typhus is caused by louse bite. o For clinical presentation of different Rickettsial diseases, See previous explanations